No man's land in palm corresponds to -
1. Zone I
2. Zone II
3. Zone III
4. Zone IV

Correct answer: 2. Zone II

Explanation: Ans. is 'b' i.e., Zone II